Which of the following is used for isolation fo chlamydia -
1. Microimmunofluoroscence
2. Yolk sac ioculation
3. ELISA
4. Immunofluroscence

Correct answer: 2. Yolk sac ioculation

Explanation: Ans. is 'b' i.e., Yolk sac Isolation of chlammydia . Chlamydiae are obligate intracellular parsite, therefore cannot be cultured on nonliving artificial media (cell free media). . Isolation of chalamydia can be done by inoculation into :? Embryonated eggs particularly in yolk. Experimental animals Tissue culture (cell culture, e.g., McCoy cells, HeLa cells). . Amongst these, cell culture is the preferred method of isolation.